All are symptoms of opiate withdrawals except:
1. Diarrhea
2. Lacrimation
3. Mydriasis
4. Excessive speech

Correct answer: 4. Excessive speech